The dose of anti-D immunoglobulin to be given to non- immune Rh D negative women after delivery is:
1. 50 mgm
2. 150 mgm
3. 300 mgm
4. 450 mgm

Correct answer: 3. 300 mgm

Explanation: Ans. (c) 300 mgmRef : D. C Dutta 8th ed.l 387, 721